Testicular tumour most sensitive to radiation is
1. Teratoma
2. Lymphoma
3. Mixed germ cell tumour
4. Seminoma

Correct answer: 4. Seminoma

Explanation: Seminomas are most radiosensitive. So after orchidectomy radiotherapy is given to increase the cure rate and also to reduce relapse(excellent results in stage 1 and 2 seminomas). Radiotherapy is not beneficial in teratomas as they are less radiosensitive. Other radiosensitive tumours are squamoua cell carcinoma, basal cell carcinoma, hodgkin's lymphoma.Reference : page 1087 and1143 SRB's manual of surgery 5th edition